Association of deafness & nephritis is seen in -
1. Pickwickian syndrome
2. Alport's syndrome
3. Fabry's disease
4. Lawrence Moon Biedl syndrome

Correct answer: 2. Alport's syndrome